A dense persistent nephrogram may be seen in all of the following except –
1. Acute ureteral obstruction
2. Systemic hypertension
3. Severe hydronephrosis
4. Dehydration

Correct answer: 2. Systemic hypertension

Explanation: Hypotension causes persistent dense nephrogram (not hypertension).